A girl child came with complaints of involuntary movements was diagnosed as a case of Syndenham's chorea, suggestive of a diagnosis of acute rheumatic fever. There is no complaint of carditis or arthritis. Throat culture is negative. Which of the following will most likely suggest recent streptococcal infection?
1. ASLO
2. Antistreptolysin S
3. PCR for M protein
4. Anti-hyaluronidase

Correct answer: 1. ASLO

Explanation: Ans. a. ASLO